Black tongue is seen in abuse of -
1. Heroin
2. Dhatura
3. Smoking
4. Cocaine

Correct answer: 4. Cocaine

Explanation: Black pigmentation of tongue and teeth is seen in cocaine poisoning.